Glucose is absorbed through apical membrane of PCT by which transporter?
1. SGLT-1
2. SGLT-2
3. GLUT-1
4. GLUT-2

Correct answer: 2. SGLT-2

Explanation: Glucose absorption from GIT & kidney occurs in a 2-step process. There is an apical membrane & a baso lateral membrane, baso lateral membrane is facing the blood vessel. Lumen has glucose - through apical membrane SGLT-2 - it enters cellsafrom basolateral membrane GLUT-2 - glucose enters the blood SGLT - 1 - predominantly in - absorption of dietary glucose from GUT SGLT - 2 - in kidney - reabsorption of glucose.